Initial drug of choice in a child with status epilepticus -
1. Lorazepam
2. Phenobarbitone
3. Valproate
4. Phenytoin

Correct answer: 1. Lorazepam

Explanation: Ans. is 'a' i.e., Lorazepam o Drug used are Lorazepam, Clonazepam, Diazepam, Phenytoin, Phenobarbitone, Thiopentol, Propofol, Midazolam. 0 Lorazepam i.v. is now the preferred initial choice.